What portion of stearic acid does impression compound contains?
1. 5
2. 10
3. 30
4. 15

Correct answer: 1. 5